Best treatment for Sickle cell anemia is:
1. Hydroxyurea
2. Sulphonamide
3. Iron Injection
4. Blood transfusion

Correct answer: 1. Hydroxyurea

Explanation: a. Hydroxyurea(Ref: Nelson's 20/e p 2236-2345', Ghai 8/e p 344-345)Hydroxyurea increases HbF levels and so is used for treatment of sickle cell anemia.